Mutation in Marfan's syndrome is?
1. Collagen I
2. Collagen IV
3. Fibrillin I
4. Fibrillin II

Correct answer: 3. Fibrillin I

Explanation: Robbins and Cotran pathologic basis of disease South Asia edition. * Marfan's syndrome results from an inherited defect in an extracellular glycoprotein called fibrillin 1 by loss of structural support in microfibril rich connective tissues and excessive activation of TGF- beta signally Ref Robbins 9/e pg252